Extraperitoneal fat is located?
1. Beneath fascia transversalis
2. Above campers fascia
3. Anterior to abdominal muscles
4. Under parietal peritoneal

Correct answer: 1. Beneath fascia transversalis

Explanation: Ans. is'a'i.e., Beneath fascia transversalisThe extra Peritoneal fat is a thin layer of connective tissue that contains a variable amount offat and lies between the fascia transversalis and the parietal peritoneum.